Which anaesthetic belongs to ester group
1. Procaine
2. Bupivacaine
3. Lignocaine
4. Mepivacaine

Correct answer: 1. Procaine

Explanation: Esters (aminoesters):- procaine, chlorprocaine, tetracaine (amethocaine), Benzocaine, CocaineAmides (aminoamides):- Lignocaine, Mepivacaine, Prilocaine, bupivacaine, Etidocaine, ropivacaine, dibucaine(Refer: Morgan and Mikhail's Clinical Anaesthesiology, 5th edition, pg no. 268-270)